Not a cutaneous manifestation of tuberculosis:
1. Lupus vulgaris
2. Scrofuloderma
3. Exanthematous lesion
4. Erythema migrans

Correct answer: 4. Erythema migrans

Explanation: Ans. D: Erythema migrans Classification of skin tuberculosis Tuberculosis of the skin has different clinical and pathological features depending on the patient's resistance and age. Patients with good resistance - Lupus vulgaris Scrofuloderma. - Tuberculosis verruca cutis - Tuberculids. Exanthematous lesions - Tuberculosis miliaris disseminata - Lupus miliaris disseminatus fasciei - Papulonecrotic Tuberculids - Lichen Scrofuloderma Patients with absent or poor resistance : - Miliary tuberculosis. - Primary tuberculous complex - Erythema migran is associated with lyme borreliosis.